ASA -3 is
1. Comorbidities with minimal limitation
2. Comorbidities with moderate limitation
3. Comorbidities which are constant threat to life
4. No comorbidities

Correct answer: 2. Comorbidities with moderate limitation

Explanation: ASA grade 3 is when comorbidities are present and make patient symptomatic often.